Which of the following ovarian tumors are associated with precocious puberty in young girls
1. Immature teratoma
2. Granulosa cell tumor
3. Dysgerminoma
4. Krukenberg tumor

Correct answer: 2. Granulosa cell tumor

Explanation: Granulosa cell tumors frequently secrete oestrogen resulting in precocious puberty.